Hutchinson's secondaries in skull are due to tumors in:
1. Lungs
2. Breast
3. Liver
4. Adrenals

Correct answer: 4. Adrenals

Explanation: Adrenals